Which one of the following agents has been associated with hemorrhagic stroke?
1. Phenylpropanolamine
2. Terfenadine
3. Quinidine
4. Fenfluramine

Correct answer: 1. Phenylpropanolamine

Explanation: Phenylpropanolamine is an ingredient used in many over-the-counter (OTC) and prescription cough and cold medications as a decongestant and in OTC weight loss products. Adverse events reported with these products led to concerns that this ingredient might increase the risk of hemorrhagic strokes Ref Harrison20th edition pg 2456